In case of secondary amenorrhea who fails to get withdrawl bleeding after taking Estrogen and Progesterone, the fault lies at the level of
1. Pituitary
2. Hypothalamus
3. Ovary
4. Endometrium

Correct answer: 4. Endometrium

Explanation: Secondary Amenorrhea Definition: In women who have menstruated previously, no menses for an interval of time equivalent to a total of at least three previous cycles or 6 months Uterus must contain a functional endometrium that can respond to the actions of ovarian sex steroid hormones, estrogen and progesterone When estrogen and progesterone both were given and no menstruation at the end, the pathology lies in the endometrium Causes: Tuberculosis, Schistosomiasis Post abortal or puerperal curretage Asherman's syndrome Ref: Shaw's Textbook of Gynecology; 16th edition; Chapter 23